Thiamine level is best monitored by :
1. Transketolase level in blood
2. Thiamine level in blood
3. G6PD activity
4. Reticulocytosis

Correct answer: 1. Transketolase level in blood

Explanation: A i.e. Transketolase level in blood